All of the following are true about mitochondria except
1. Evolved from aerobic bacteria engulfed by eukaryotic cells
2. Have role in regulation of apoptosis
3. Have their own genome
4. Mitochondrial diseases are paternal in inheritance

Correct answer: 4. Mitochondrial diseases are paternal in inheritance

Explanation: "Over a billion years ago, aerobic bacteria were engulfed by eukaryotic cells and evolved into mitochondria, providing the eukaryotic cells with the ability to form the energy-rich compound ATP by oxidative phosphorylation. Mitochondria perform other functions, including a role in the regulation of apoptosis (programmed cell death), but oxidative phosphorylation is the most crucial." Consistent with their origin from aerobic bacteria, the mitochondria have their own genome. As a zygote, mitochondria are derived from the ovum, their inheritance is maternal. This maternal inheritance has been used as a tool to track evolutionary descent. Mitochondria have an ineffective DNA repair system, and the mutation rate for mitochondrial DNA is over 10 times the rate of nuclear DNA.Reference: Ganong's Review of Medical Physiology; 25th edition; Page no: 36